Feature of slow filter (w.r.t. fast filter) is/are:
1. Occupies less space
2. Highly skilled operation
3. Poor bacterial quality
4. Takes more time for purification

Correct answer: 4. Takes more time for purification

Explanation: Ans. is 'd' i.e. Takes more time for purification o Slow sand filter occupies large area (more space). o Slow and filter requires less skilled operation. o Slow sand filter removes more bacteria and has better bacterial control (99.9-99.99%) o Slow sand filter requires longer duration for purification. o Size of sand is smaller (0.2-0.3 mm).